For MTP consent is taken from
1. Wife only
2. Husband only
3. Both
4. Neither

Correct answer: 1. Wife only

Explanation: A i.e. Wife only - MTP Act 1971 allows registered medical practioner with certified experience (by CMO, of assisting 25 MTP cases) to perform abortion in a licenced setup (Governement or private). The consent of only women is required before conducting abortion; written consent of guardian is required if the women is a minor or mentally ill. Consent of husband is not necessaryQ. - MTP Act 1971 does not allow abortion on poor socioeconomic grounds and if only husband (not mother) is willingQ. Rape; contraceptive failure, use of cytotoxic drugs, risk of delivering seriously handicapped baby, and injury to physical & mental health of mother are valid grounds for MTP.